A female presents with persistent painful oral lesions, with acantholytic cells. Most likely diagnosis is –
1. Pemphigus vulgaris
2. Dermatitis herpetiformis
3. Epidermolysis bullosa
4. Bullous pemphigoid

Correct answer: 1. Pemphigus vulgaris

Explanation: Painful oral lesion with acantholysis suggests pemphigus vulgaris.